A 3-month old male child with normal genitalia presents to the emergency department with severe dehydration, hyperkalemia and hyponatremia. The measurement blood levels of which of the following will be helpful ?
1. 17-hydroxy progesterone
2. Renin
3. Cortisol
4. Aldosterone

Correct answer: 1. 17-hydroxy progesterone

Explanation: Ans. is 'a' i.e., 17 hydroxyprogesterone o This is a case of congenital adrenal hyperplasia due to deficiency of 21 - hydroxylase deficiency. o Because of the enzyme block ,there is increased formation of 17- hydroxyprogesterone, which is then shunted into the production of testosterone. o Levels of cortisol and aldosterone are reduced.